What is p24:
1. Envelope antigen in HIV
2. Core antigen in HIV
3. Genome of HIV
4. Shell antigen

Correct answer: 2. Core antigen in HIV

Explanation: Ans. b. Core anthigen in HIV